Pellagra is caused by deficiency of which vitamin?
1. B2
2. B3
3. B1
4. Folic acid

Correct answer: 2. B3

Explanation: Niacin (Vit B3) or nicotinic acid is also known as pellagra preventive (P.P.) factor of Goldberg Pellagra Photosensitive Dermatitis: Symmetric dermatitis in the sun-exposed areas Casal's Necklace The rash form a ring around the neck 4 Ds of Pellagra Dermatitis (Photosensitive Dermatitis) Dementia Diarrhoea Death ref DM Vasudevan 8th ed page 470